The following can be used to antagonise the action of heparin in case of overdose
1. Heparan sulfate
2. Dextran sulfate
3. Ancrod
4. Protamine sulfate

Correct answer: 4. Protamine sulfate

Explanation: HEPARIN ANTAGONIST Protamine sulfate Given i.v. it neutralises heparin weight for weight, i.e. 1 mg is needed for every 100 U of heparin. For the treatment of heparin induced bleeding, due consideration must be given to the amount of heparin that may have been degraded by the patient's body in the mean time. However, it is needed infrequently because the action of heparin disappears by itself in a few hours, and whole blood transfusion is needed to replenish the loss when bleeding occurs. Protamine is more commonly used when heparin action needs to be terminated rapidly, e.g. after cardiac or vascular surgery. Ref:- kd tripathi; pg num:-620